Post coital test detects all of the following, except:
1. Fallopian tube block
2. Cervical factor abnormality
3. Sperm count
4. Sperm abnormality

Correct answer: 1. Fallopian tube block

Explanation: Also called Sims Huhner's Test, Sperm cervical mucus interaction test Check the presence of Active sperms in the cervical mucus, To test the Sperm survival and behavior many hours after intercourse, Check Antisperm Antibody, Sperm motility, Sperm Count, 6 to 10 hours post coital, is the best time to check both sperm density and longevity.